A diabetic patient is undergoing dialysis. Aspiration done around the knee joint would show which of the following?
1. A- b2 microglobulin
2. AA
3. AL
4. Lactoferrin

Correct answer: 1. A- b2 microglobulin

Explanation: Chronic renal failure patients undergoing long term hemodialysis develop amyloidosis. Amyloidosis in such cases is associated with the deposition of a protein called A- b2 microglobulin. Such amyloid deposits are common in synovium, joints and tendon sheaths. So an aspirate obtained from knee joint would likely reveal A- b2 microglobulin.Ref: Pathologic Basis Of Disease, Robbins, 6th Edition, Page 253; 7th Edition, Page 260, 261.